All of the following are examples of sexual perversion except:
1. Incest
2. Lust murder
3. Fetichism
4. Peeping Tom

Correct answer: 1. Incest

Explanation: Ans: a (Incest) Ref: Narayan Reddy, 21st ed, p. 349Incest is not considered as a sexual perversion in India.Sexual Perversions are defined as persistently indulged sexual acts in which complete satisfaction is sought and obtained without sexual intercourseIncest means sexual intercourse by a man with a woman who is closely related to him by blood. Since incest involves sexual intercourse, it is not considered as a sexual perversion.Uranism - It is a general term for sexual perversion. Different types of sexual perversions are given below.Sadism - Sexual gratification is obtained or increased from acts of physical cruelty or infliction of pain upon one's partnerMasochism - They get sexual pleasure from being beaten, abused or tortured by their sexual partnerLust murder - It is an extreme form of sadism where murder serves as a stimulus for sexual act.Necrophagia -This is extreme degree of sadism in which the person after mutilating the body, sucks or licks the wounds or eats the flesh of his victim to derive sexual pleasure.Necrophilia - There is desire for sexual intercourse with dead bodies.Fetichism - In this the person gets sexual gratification from part of the body of a woman or some article belonging to her that normally has no sexual influence on the mind. Eg -Underclothings, shoes etc.Transvestism or Eonism - It is usually found in males who obtain sexual pleasure by wearing female dressFellatio - Oral stimulation or manipulation of the penis, either by the male or female.Cunnilingus - Oral stimulation of female genitalia